All of the following are in the anterior triangle of neck EXCEPT:
1. Diagastric
2. Subclavian
3. Muscular
4. Submental

Correct answer: 2. Subclavian

Explanation: Posterior triangle of neck has 2 parts: Occipital & subclavianSubclavian triangle is also c/d as supraclavicular or omoclavicular triangle.Anterior triangles of neck are-Submental, Digastric, Carotid, Muscular.